Pulmonary crackles are frequently heard in?
1. Pneumothorax
2. Pulmonary fibrosis
3. Pleural effusion
4. Lung cancer (secondary)

Correct answer: 2. Pulmonary fibrosis

Explanation: Ans. B. Pulmonary fibrosisCrackles are produced by fluid in alveoli or by fibrotic airways. Therefore, they can be heard in patients with pulmonary fibrosis or congestive heart failure.